Hanging curtain sign seen in?
1. Pityriasis rosea
2. Pityriasis Versicolor
3. Pityriasis rubra pilaris
4. Pityriasis lichenoides chronica

Correct answer: 1. Pityriasis rosea

Explanation: ANSWER: (A) Pityriasis roseaREF: Dermatology. 1995; 190(3): 252. PubMed PMID: 7599393, Clinical Pediatric Dermatology - By Thappa page 104PITYRIASIS ROSEAThe primary eruption, herald patch (Mother spot) is a single oval or round patch with a central wrinkled salmon colored area and a darker peripheral zone separated by a "collarette of scales" (when stretched across the long axis, the scales tends to fold across the line of stretch, the so called Hanging curtain sign)